Favorable prognostic factors for ovarian cancer: are cell except:
1. Young age
2. Mucinous tumor
3. Well differentiated tumor
4. No ascites

Correct answer: 2. Mucinous tumor

Explanation: Ans. is b, i.e. Mucinous tumorRef: William gynae 3rd/ed, p753, Table 35-9Most Important favorable prognostic factors for ovarian cancer1. Younger age2. Cell type other than mucinous & clear cells3. Well differentiated tumor4. Small disease volume5. No ascites